Which by product of vecuronium is associated with peripheral neuropathy on prolonged infusion-
1. 3- hydroxy vecuronium
2. 17-hydroxy vecuronium
3. 3, 17 (OH2) metabolite
4. All

Correct answer: 1. 3- hydroxy vecuronium

Explanation: The most potent byproduct of vecuronium is 3-hydroxy vecuronium, with approximately 60% of the activity of vecuronium, is excreted by the kidney and may be responsible for prolonged paralysis. Vecuronium - 1. It is unstable in solution and, for this reason, is supplied as a lyophilized powder that must be dissolved in sterile water before its use. 2. Both hepatic and renal metabolism. 3. To be used cautiously in pretesting liver & renal dysfunction 4. Neonate, obstetric, geriatric and obese prolonged duration of action is observed.